Congenital adrenal hyperplasia shows which clinical features?
1. Female pseudo hermaphrodite (pseudohermaph roditism)
2. Hypeinsion
3. Electrolyte imbalance
4. All of above

Correct answer: 4. All of above

Explanation: Ans. is 'd' i.e., All of above